All of the following statements regarding Chlamydia are true, except:
1. Gram positive
2. Trachoma
3. Causes Psittacosis
4. Causes Lymphogranuloma venerum

Correct answer: 1. Gram positive

Explanation: Chlamydia are gram negative, non motile, obligate intracellular parasites which multiply in the cytoplasm of host cells. Chlamydia trachomatis serotypes A, B and C cause trachoma, L1-3 serotypes cause lymphoganuloma venerum, D-K serotypes cause genital tract infection and conjunctivitis. Pscittacosis is caused by Chlamydia psittaci.